Glycine is used in the synthesis of
1. Nitric oxide
2. Catecholamines
3. Melanin
4. Purines

Correct answer: 4. Purines

Explanation: The whole of glycine is incorporated into the purine ring. (C4, C5, and N7)Ref: DM Vasudevan - Textbook of Biochemistry for Medical Students, 7th edition, page no: 212